High plasma drug concentration of phenytoin can cause which of the following adverse effects?
1. Ataxia
2. Hirsutism
3. Gum hyperplasia
4. All of the above

Correct answer: 1. Ataxia

Explanation: Cerebellar dysfunction (ataxia, nystagmus and vertigo) is seen at toxic plasma concentrations whereas hirsutism and gum hyperplasia is seen at therapeutic concentrations (but on prolonged use).